Indicated mandibular major connector for a long span edentulous ridge:
1. Lingual plate
2. Lingual bar
3. Double lingual bar
4. Labial bar

Correct answer: 1. Lingual plate

Explanation: When posterior teeth have been lost and there is a need for additional indirect retention, the use of a lingual plate may be advantageous.
Stewart’s Clinical Removable Prosthodontics. Edition 4. Page 33